Water content of breast milk is?
1. 48%
2. 68%
3. 88%
4. 98%

Correct answer: 3. 88%

Explanation: Breast milk has a high water content of 88%. Exclusively breast fed baby does not require additional water in the first 6 months of life